A newborn presenting with intestinal obstruction showed on X-ray multiple air fluid levels are seen. The diagnosis is most likely to be?
1. Pyloric obstruction
2. Duodenal atresia
3. Ileal atresia
4. Ladd's bands

Correct answer: 3. Ileal atresia

Explanation: Ans. CMultiple air-fluid levels indicate a more distal site of obstruction along the bowel-hence llieal atresia in the newborn. It is associated with cystic fibrosis. Plain radiograph shows multiple air fluid levels and dilated loops of proximal bowel. Barium enema shows microcolon. On antenatal USG it is often discovered prenatally as proximal dilated intestinal segment.